Shortest acting local anaesthetics -
1. Lignocaine
2. Bupivacaine
3. Etidocaine
4. Chlorprocaine

Correct answer: 4. Chlorprocaine

Explanation: Ans. is 'd' i.e., Chlorprocaine Local anethatics. duration of actionShort duration(< 30 min)Low potencyIntermediate duration (30-90 min)Intermediate potencyLong duration (> 120 min) High potencyChlorprocaine (shortest acting) LignocaineMepivacaineBupivacaineTetracaineProcainePrilocaincCocaineEtodicaineRopivacaineDibucaine (longest acting)